Least common cause of endocarditis is:
1. A.S.D
2. P.D.A
3. T.O.F.
4. V.S.D.

Correct answer: 1. A.S.D

Explanation: Answer is A (ASD) Endocarditis is unusual in sites with a small pressure gradient as in ASD ASD is low risk lesion for the development of infective endocarditis and the single best answer amongst the options provided